Which test helps to differentiate between concomitant squint and paralytic squint
1. Cover - uncover test
2. Alternate covertest
3. Direct cover test
4. None of the above

Correct answer: 2. Alternate covertest

Explanation: This procedure causes breakdown of binocular fusion mechanism thus helpful to differentiate.